"Bad-trip" is associated with:
1. Bhang
2. Ganja
3. Cocaine
4. LSD

Correct answer: 4. LSD

Explanation: Ans. (d) LSDRef.: Harrison 19th ed. / 469e-4* LSD intoxication causes bad trips, which is acute panic reaction in which the individual experience a loss of control over his self.* Spontaneous recurrence of LSD, or sometimes cannabis use experience even during a withdrawal state is known as Flash back.